Treatment of Puberphonia is
1. Thyroplasty type I
2. Thyroplasty type II
3. Thyroplasty type III
4. Thyroplasty type IV

Correct answer: 3. Thyroplasty type III

Explanation: Normally, childhood voice has a higher pitch. When the larynx matures at puberty, vocal cords lengthen and the voice changes to one of lower pitch. This is a feature exclusive to males. Failure of this change leads to persistence of childhood high-pitched voice and is called puberophonia. Type III Thyroplasty- It is used to shorten (relax) the vocal cord. Relaxation of vocal cord lowers the pitch. This procedure is done in mutational falsetto or in those who have undergone gender transformation from female to male. Ref: PL Dhingra Textbook of Ear, Nose and Throat, Edition 6, page - 302